A 40-year-old hypertensive male was admitted to the hospital with sudden onset of headache and altered sensorium. On Examination his Blood Pressure was observed to be 220/110mm Hg and the patient died four later. What is likely pathological finding in his kidneys -
1. Small kidney with granular surface
2. Small kidney with petechial hemorrhages
3. Large kidney with waxy appearance
4. Large kidney with granular surface

Correct answer: 2. Small kidney with petechial hemorrhages

Explanation: Ans. (b) Small kidney with petechial hemorrhages(Ref: Robbins 9th/pg 939; 8th/pg 950-951)This is a case of a middle aged man who died of malignant hypertensionKidneys in such patients have a characteristic flea-bitten appearance i.e. Small kidney with petechial hemorrhages.